Ulnar nerve supplies all except ?
1. FCU
2. 1st lumbrical
3. 4th lumbrical
4. Dorsal interossei

Correct answer: 2. 1st lumbrical

Explanation: 1st lumbrical